Depth of inpsiration is increased by _______
1. Pneumotaxic centre
2. Ventral group of neurons in medulla
3. Dorsal group of respiratory neurons
4. Apneustic centre

Correct answer: 4. Apneustic centre

Explanation: Depth of inspiration is increased by the apneustic center. The apneustic centre sends signals to prevent switching off of inspiration maintained by the dorsal repsiratory group of neurons, thereby increasing depth of inspiration. In contrast to this, the pneumotaxic center primarily limits inspiration by controlling the 'Switch off' point of the inspiratory ramp signal. A note on respiratory ramp signal: The neuron signals transmitted to the inspiratory muscle, mainly the diaphragm, is not the instantaneous burst of action potentials. Instead, it begins weakly and increases steadily in a ramped manner. The advantage of the ramp is that it causes a steady increase in the volume of the lungs during inspiration, rather than inspiratory gasps. Control of the limiting point at which the ramp suddenly ceases is the mechanism by which the respiratory centers control depth and rate of respiration. Ref: Guyton and Hall 13 th edition Pgno: 538-548